Pathognomic feature of hyperparathyroidism -
1. Osteopenia
2. Loss of lamina dura
3. Brown's tumor
4. Sub periosteal resorption of phalanges

Correct answer: 4. Sub periosteal resorption of phalanges

Explanation: Radiological features of hyperparathyroidism : The characteristic feature is subperiosteal resorption particularly radial aspect of middle phalanx of middle and index finger. Loss of lamina dura Pepper pot skull Rugger jersy spine Brown tumor Soft tissue calcification